All of the following drugs are used in prophylaxis of migraine, except -
1. Propanolol
2. Flunarizine
3. Tapiramate
4. Levetiracetam

Correct answer: 4. Levetiracetam